What type of mutation is most commonly associated with Brugada syndrome?
1. Gain of function mutation
2. Loss of function mutation
3. Antimorphic mutation
4. Lethal mutation

Correct answer: 2. Loss of function mutation

Explanation: Brugada syndrome Loss of function mutation SCN5A mutation